Which of the following diuretics will continue to induce significant diuresis after return of blood volume to normal levels?
1. hydrochlorothiazide
2. spironolactone
3. triamterene
4. furosemide

Correct answer: 4. furosemide

Explanation: The loop diuretics inhibit tubular reabsorption of sodium, potassium, and chloride in the loop of Henle and can continue to cause diuresis even during volume contraction. The likely site of action of furosemide is in the thick ascending limb of the loop of Henle.